Fluroacetate inhibits -
1. Citrate synthetase
2. Aconitase
3. Succinate dehydrogenase
4. Alphaketoglutarate dehydrogenase

Correct answer: 2. Aconitase

Explanation: B i.e. Aconitase